Which of the following technique of karyotyping is done under fluorescence microscopy?
1. G-banding
2. Q-banding
3. C-banding
4. R banding

Correct answer: 2. Q-banding

Explanation: Q banding: Fixed chromosome spreads are stained without any pretreatment using quinacrine mustard, quinacrine, or other fluorescent dyes and observed with a fluorescence microscope. G banding: Preparations are incubated in a variety of saline solutions using any 1 of several pretreatments and stained with Giemsa's stain. C banding: Preparations are either heated in saline to temperatures just below boiling or treated with certain alkali solutions and then stained with Giemsa's stain. This process causes prominent bands to develop in the region of the centromeres. R banding: Preparations are incubated in buffer solutions at high temperatures or at special pH and stained with Giemsa's stain. This process yields the reverse bands of G banding. Ref: Manipalviratn S., Trivax B., Huang A. (2013). Chapter 3. Genetic Disorders & Sex Chromosome Abnormalities. In A.H. DeCherney, L. Nathan, N. Laufer, A.S. Roman (Eds), CURRENT Diagnosis & Treatment: Obstetrics & Gynecology, 11e.